Lateral wall of ischiorectal fossa is formed by all EXCEPT:
1. Levator ani
2. Obturator internus
3. Ischial tuberosity
4. Obturator fascia

Correct answer: 1. Levator ani

Explanation: Levator ani with the anal fascia forms the media wall of ischioanal fossa (in the upper part)